All of the following organisms cause gas gangrene EXCEPT:
1. Clostridium Difficile
2. Clostridium Welchi
3. Clostridium Septicum
4. Clostridium Perfringens

Correct answer: 1. Clostridium Difficile

Explanation: Ans. (a) Clostridium DifficileRef: Microbiology by Ananthanarayan and Paniker 8th ed. /251, 263, 634* Gas gangrene is myonecrosis caused by bacterial infection which can further lead to toxemia and shock. It is noticed by the black sores and crepitus caused by gas (nitrogen is the predominant gas component (74.5%), followed by oxygen (16.1%).* Clostridium microbes which cause gas gangrene are:# Clostridium perfringens/welchi# Clostridium septicum# Clostridium Novyi* Clostridium Difficile causes acute enterocolitis.* In a diabetic patient , the more likely pathogen of gas gangrene is Klebsiella pneumonia.Also Know*Clostridium microbe that causes tetanus: Clostridium tetani* Clostridium microbe that causes food poisoning:# Perfringens type A- gastroenteritis# Perfringens type C- Necrotising enteritis# Botulinum- Botulism# Difficle- Acute colitis